Which of the following vitamins contain sulfur in its structure?
1. Thiamine
2. Riboflavin
3. Folic acid
4. Niacin

Correct answer: 1. Thiamine

Explanation: Thiamine contains Sulphur in its structure. Structure of Thiamine: Thiamine contains a substituted pyrimidine ring connected to a substituted thiazole ring by means of methylene bridge. The vitamin is then converted to its active co-enzyme form by addition of two phosphate groups, with the help of ATP (Fig. 34.1). It is catalyzed by thiamine pyrophosphotransferase. Reference: Vasudevan Textbook of Biochemistry pg no.391